Subpoena is a kind of :
1. Decomposed body tissue
2. Designation
3. Document
4. Court tribunal

Correct answer: 3. Document

Explanation: C i.e. Document